Use of one of the following vaccination is absolutely contra indicated in pregnancy -
1. Hepatitis - B
2. Cholera
3. Rabies
4. Yellow fever

Correct answer: 4. Yellow fever

Explanation: .people who should not be vaccinated for yellow fever includes, children aged under 9 months pregnant women people with severe allergies to egg protein. people with severe immunodeficiency caused by symptomatic HIV/AIDS or other causes or in the presence of thymus disorder. ref:park's textbook,ed22,pg no 258